Which one of the following electrolyte abnormality will be present in a patient who has suffered burns over 56% of his body?
1. Hyperkalemic alkalosis
2. Hyperkalemic acidosis
3. Hypokalemic acidosis
4. Hypokalemic alkalosis

Correct answer: 2. Hyperkalemic acidosis

Explanation: The rupture of RBCs in burns causes hyperkalemia. Due to decreased tissue perforation as a result of fluid loss metabolic acidosis will occur (usually in burns > 30%). Thermal burns result in severe electrolytes disturbances which are life-threatening when the percentage of burnt body surface area (BSA) is above 20% in adults and 10% in children. Every organ system is affected by an injury to the skin that involves 25% total BSA. Hypophosphatemia, hypoproteinemia and hypocalcemia will be present in burn patients. An elevation of potassium and a decrease of sodium have been also observed. All urinary parameters were decreased.